A 54-year-old man comes to a hospital with abdominal pain, jaundice, loss of appetite, and weight loss. On examination of his radiograms and CT scans, a physician finds a slowly growing tumor in the uncinate process of the pancreas. Which of the following structures is most likely compressed by this tumor
1. Splenic artery
2. Portal vein
3. Superior mesenteric artery
4. Superior pancreaticoduodenal artery

Correct answer: 3. Superior mesenteric artery

Explanation: Tumour of uncinated process of pancreas leads to pressure onSuperior mesenteric arterywhich passes below it.